Paper mill worker presented as respiratory distress with occupational pneumonia. The most probable diagnosis is -
1. Byssinosis
2. Bagassosis
3. Asbestosis
4. Anthracosis

Correct answer: 2. Bagassosis

Explanation: -bagassosis is the occupational disease of the lung caused by inhalation of bagasse or sugarcane dust. The sugar cane fibre is how utilized in the manufacture of paper, cardboard and rayon. - due to thermophilic actinomycete Thermoactinomyces sacchari. - symptoms include breathlessness, cough, hemoptysis and slight fever. - if left untreated, diffuse fibrosis,emphysema and bronchiectasis occurs. Reference : Park's textbook of preventive and social medicine, 23 rd edition, pg no 807